Bacteria with tuft of flagellae at one end are called-
1. Monotrichate
2. Bipolar
3. Peritrichate
4. Lophotrichate

Correct answer: 4. Lophotrichate

Explanation: Arrangement of flagella -